Transport of drug through biological membrane is through ?
1. Passive diffusion
2. Fascilitated diffusion
3. Active transport
4. All of the above

Correct answer: 4. All of the above

Explanation: Ans. is 'd' i.e., All of the above